Sudden onset of hemiplegia with contra lateral ophthlamoplegia the probable lesion is in -
1. Pons
2. Lateral medulla
3. Mesencephalon
4. Forebrain

Correct answer: 3. Mesencephalon